Hallucination and illusion are disturbances of -
1. Thought
2. Perception
3. Sensation
4. Mood

Correct answer: 2. Perception